Expressed breast milk can be stored in a refrigerator for how many hours?
1. 6
2. 10
3. 18
4. 24

Correct answer: 4. 24

Explanation: Ans. D. 24If the mother is not in a position to feed the baby (ill, working mother or preterm baby), she can express her milk in a clean wide mouth container and this milk can be fed to the baby. Expressed breast milk can be stored at room temperature for 6 - 8 hours, in a refrigerator for 24 hours and in a freezer at -20degC for 3 months